Route of admAdministratof BCG for bladder cancer is
1. Oral
2. Subcutaneous
3. Intravenous
4. None of the above

Correct answer: 4. None of the above

Explanation: Ref-Goodman and Gillman 11/e p1422 Intravesical route is used for BCG in the treatment of bladder carcinoma